Epithelium present in PCT?
1. Simple Squamous
2. Stratified Squamous
3. Cuboidal Epithelium
4. Columnar Epithelium

Correct answer: 3. Cuboidal Epithelium

Explanation: Epithelium present in PCT is Cuboidal Epithelium.